A case of acute cholecystitis now presents with acute pain sharp going to the back diagnosis
1. Acute pancreatitis
2. Cholecystitis
3. Appendicitis
4. Aortic aneurysm

Correct answer: 1. Acute pancreatitis

Explanation: Ans. (a) Acute pancreatitisRef: Sabiston 20th edition Page 1496 Gall stone pancreatitis:* As GB stone passes the common channel it irritates the Pancreatic system and causes pancreatitis.* Patient's will have continued back pain even after stone passes.* Most cases of gall stone pancreatitis settles by conservative management.* If symptoms do not resolve we do ERCP and Sphincterotomy.* Dilated CBD and CBD stone gives suspicion of Gallstone pancreatitis.* Patient should be operated in same admission before discharge- Laparoscopic cholecystectomy* During surgery Intra op Cholangiogram is done to rule out CBD stones.